Largest lymphatic organ in the human body is
1. Liver
2. Spleen
3. Thymus
4. Kidney

Correct answer: 2. Spleen

Explanation: Spleen: - Largest lymphatic organ connected to blood vascular system. Acts as filter for blood Plays an important role in immune response of body Lies mainly in hypochondrium & partly in epigastrium Normally not palpable Supplied by splenic artery - the largest branch of celiac trunk Splenic vein is formed at hilum of spleen Splenic tissue has no lymphatics Sympathetic fibres are derived from celiac plexus Functions: - Phagocytosis Hemopoiesis Immune responses Storage of RBC.